A female having 6 weeks amenorrhea presents with ovarian cyst. The proper management is:
1. Immediate ovariotomy
2. Ovariotomy at IInd trimester
3. Ovariotomy 24 hours after delivery
4. Ovariotomy with cesarean

Correct answer: 2. Ovariotomy at IInd trimester